Amphotericin B treatment mandates the monitoring of which of the following electrolytes -
1. Na+
2. Ca2+
3. Mg2+
4. None

Correct answer: 3. Mg2+

Explanation: Ans. is `c i.e. Mg+2